Retention of urine in a pregnant woman with retroverted uterus is seen in weeks:
1. 28-32
2. 20-24
3. 16-Dec
4. 10-Aug

Correct answer: 3. 16-Dec

Explanation: Retroverted gravid uterus is because of: Previously retroverted uterus due to poor supports Pevious pelvic adhesions Tumors on the posterior wall of the uterus Incarceration of the uterus in the pelvis is due to an unusually deep sacral sacral concavity with an over hanging sacral promontory Most uterus comeout of the pelvis at 12 weeks and there is relief from the symptoms Worst case scenario is the incarceration of the uterus in the pelvis: Invariably presents at 14th weeks Can present as : Dribbling or frequency of micturition Pain and tenderness on the lower abdomen Backache Mechanical enlongation of the urethera and compression is the cause of the retention Treatment: Insertion of a ring pessary in the genu pectoral position (Knee chest) & resting in prone position causes the uterus usually to tip over the promontory in the next 24 hours